All the muscles of the face are supplied by facial nerve except -
1. Levator anguli oris
2. Corrugator supercilii
3. Leavator palpebrae superioris
4. Risorius

Correct answer: 3. Leavator palpebrae superioris

Explanation: All facial muscles are supplied by facial nerve except levator palpebrae superioris which is supplied by sympathetic fibers and 3rd nerve.